A patient received and electric shock and fell down. He cannot do external rotation of shoulder and cannot move arm. What is the diagnosis:-
1. Anterior dislocation
2. Posterior dislocation
3. Clavicle fracture
4. Luxation erecta

Correct answer: 2. Posterior dislocation

Explanation: The classical presentation of dislocation for epilepsy and patient received electric shock is posterior dislocation. The position of the affected arm is adduction & internal rotation. Posterior dislocation: E- Epilepsy E- Electric shock E- Electric bulb appearance on xray The position of the affected arm in Anterior dislocation is abduction and external rotation The position of the affected arm in Luxatioerecta(inferior dislocation) is salute position